Which of the following is a differentiating feature of anopheles from aedes mosquito ?
1. Pupa has broad siphon
2. Eggs are oval shaped
3. Wings unspotted
4. Popi are short

Correct answer: 1. Pupa has broad siphon

Explanation: Ans. is 'a' i.e., Pupa has broad siphon